Calories in human milk (gm per 100 mL) are
1. 37
2. 47
3. 57
4. 67

Correct answer: 4. 67

Explanation: Ans. d (67 Kilocalories). (Ref. Park PSM, 19th ed., 429; OP Ghai Paediatrics, 6th/pg 97)MILKNutrientContent/100 mL of the human/breast milkCalories67 kcal.... (Ref. OP Ghai Paediatrics); 70 kcal.... (Ref. Park PSM)Proteins1.1 gWhey/casein ratio80:20Fat3.5 gLactose7.0 gSodium0.9 mEqPotassium1.4 mEqCalcium35 mgPhosphorus15 mgIron30-50 mgZinc120 mgVitamin A60 mgVitamin C5.2 mg % of contents inProteinsFatCarbohydrateWaterColostrum8.62.33.286Breast milk1.23.27.587